A 10 year old male gives history of fracture in the elbow region 3 years back, now presents with tingling sensation and numbness in little finger, probable fracture is
1. Suprocondylar humerus fracture
2. Lateral condyl humerus fracture
3. Elbow dislocation
4. Pulled elbow

Correct answer: 2. Lateral condyl humerus fracture